The number of live births per 1000 women in the reproductive age group in a year refers to:
1. Gross reproduction rate
2. Total fertility rate
3. Net reproduction rate
4. General fertility rate

Correct answer: 4. General fertility rate

Explanation: Ans: D i.e. General fertility rate Some important rates GRR is number of daughters who would be born to a woman completing her reproductive life at current age specific fertility rates TFR is average number of children a woman would bear in her reproductive life span. NRR measures the number of daughters a woman would have in her lifetime if she experiences prevailing age specific fertility and mortality rates.